Treatment of multiple carboxylase deficiency ?
1. Biotin
2. Pyridoxine
3. Thiamine
4. Folic acid

Correct answer: 1. Biotin

Explanation: Ans. is 'a' i.e., Biotin Pathogenesis of multiple carboxylase deficiency o Deficiency of either holocarboxylase synthase or biotinidase impaires biotin metabolism. o Biotin is a cofactor for various carboxylases in the body ? o Impaired metabolism of biotin results in multiple carboxylase deficiency. o So, for the treatment of multiple carboxylase deficiency, biotin should be given.